Commonest type of retinal detachment:
1. Rheugmatogenous
2. Choroidal haemorrhage
3. Exudative
4. Tractional

Correct answer: 1. Rheugmatogenous

Explanation: Ans. Rheugmatogenous